Most common site of tuberculous lesion in the oral cavity is
1. Buccal mucosa
2. Lips
3. Tongue
4. Palate

Correct answer: 3. Tongue